Extra oral tracing method is grouped in the following for recording centric relation for complete denture patients
1. Functional method
2. Close mouth method
3. Static method
4. None of the above

Correct answer: 3. Static method